Ascent to high altitude may cause all of the following except:
1. Cerebral edema
2. Pulmonary edema
3. Cerebral palsy
4. Venous thrombosis

Correct answer: 3. Cerebral palsy

Explanation: Ans: C i.e. Cerebral palsyComplications of ascent to high altitudeHACE/ high altitude cerebral edema is rare, life threatening and usually preceded by AMS/ acute mountain sicknessHAPE/ high altitude pulmonary edema is a life threatening condition which usually occurs in the first 4 days after scent above 2500 m.Venous thrombosis has been reported at altitudes over 6000 m.